High level disinfectant is
1. Isopropylalchol
2. Phenol
3. Benzalkonium chloride
4. Chlorine

Correct answer: 4. Chlorine

Explanation: Low – Level distinfectant – Benzalkonium chloride
Intermediate – Level distinfectant – Isopropylalchol,phenol
High – Level disinfectant – Gluteraldelyde, formaldehyde, H2O2, Chlorine